Caseating necrosis is seen in
1. Leprosy
2. TB
3. Sarcodiosis
4. Infarct

Correct answer: 2. TB